You are examining the liver biopsy specimen of a patient and you find Mallory hyaline in it. Which of the following would you exclude from the diagnosis?
1. Alcoholic liver disease
2. Hepatocellular Ca
3. Hepatitis E
4. Wilson's syndrome

Correct answer: 3. Hepatitis E

Explanation: Mallory hyaline bodies are eosinophilic cytoplasmic inclusions seen in degenerating liver cells, they also contain cytokeratin intermediate filaments. Some conditions showing Mallory hyaline are given below: 1. Wilson's disease2. Hepatocellular ca3. Primary biliary cirrhosis4. Indian childhood cirrhosis5. Alcoholic liver disease Ref: Robbins Illustrated Pathology, 7th Edition, Page 905